Mid-diastolic Murmur with presystolic accentuation is typically seen in
1. Mitral stenosis
2. Mitral Regurgitation
3. Aortic stenosis
4. MVP

Correct answer: 1. Mitral stenosis

Explanation: An opening snap, mid-diastolic rumbling murmur, presystolic accentuation and loud first heart sound are all characteristic of mitral stenosis.The mid-diastolic rumble (murmur) starts with the opening snap and may extend to the S1 with presystolic accentuation.Ref: Harrison's 18/e. p1930, 1931.